Langerhans cells in skin are -
1. Antigen presenting cells
2. Pigment producing cells
3. Keratin synthesizing cells
4. Sensory neurons

Correct answer: 1. Antigen presenting cells

Explanation: Professional antigen-presenting cells, including macrophages, B cells, Langerhans cells and dendritic cells, present foreign antigens to helper T cells, while other cell types can present antigens originating inside the cell to cytotoxic T cells. Reff: Ananthanarayanan & Panikers textbook of microbiology 9th edition pg: 138